Thalidomide is drug of choice for -
1. Lepra I reaction
2. Lepra II reaction
3. Both
4. Nerve abscess

Correct answer: 2. Lepra II reaction